Which among the following is not true about otosclerosis?
1. Hearing better in louder conditions
2. Eustachian tube is always abnormal
3. Tympanic membrane is normal
4. Bilateral progressive conduction deafness

Correct answer: 2. Eustachian tube is always abnormal

Explanation: Otosclerosis- Enchondral bone convert to spongy bone (Fissula ante fenestrum is mc site )- Conductive Hearing loss- Paracusis willsi - patient hear better in noisy - Eustachian tube is normal- Carhart's notch - dip at 2000hz